The drug used in the treatment of idiopathic hypercalciuria is -
1. Allopurinol
2. Frusemide
3. Acetazolamid
4. Thiazide

Correct answer: 4. Thiazide